Necrotizing fasciitis is caused by -
1. Staphylococcus aureus
2. Beta hemolytic streptococci
3. Clostridium perfringens
4. Pneumococcus

Correct answer: 2. Beta hemolytic streptococci